A 15 year old girl was admitted to the infectious disease hospital with a provisional diagnosis of rabies. The most suitable clinical sample that can confirm the antemortem diagnosis is-
1. Serum for anti-rabies IgG antibody
2. Corneal impression smear for immunofluorescence stain
3. CSF sample for viral culture
4. Giemsa stain on smear prepared from salivary secretions

Correct answer: 2. Corneal impression smear for immunofluorescence stain

Explanation: For the antemortem diagnosis of rabies, viral antigens can be demonstrated in the corneal smear, skin biopsy from the face or neck or saliva.